All the following can be used to predict severe acute pancreatitis except
1. Glasgow score > 3
2. CT severity score > 7
3. APACHE-II score >8
4. Serum lipase >5 times the normal

Correct answer: 4. Serum lipase >5 times the normal